Number of segments in liver is:
1. 4
2. 6
3. 8
4. 12

Correct answer: 3. 8

Explanation: Couinaud divided the liver into eight segments, numbering them in a clockwise direction beginning with the caudate lobe as segment I. Ref: Schwartz's principle of surgery 9th edition, chapter 31.